Most common malignant tumor seen in parotid gland?
1. Adenoid Cystic Cancer
2. Warthin's tumor
3. Mucoepidermoid cancer
4. Adenocarcinoma

Correct answer: 3. Mucoepidermoid cancer

Explanation: Ans. (c) Mucoepidermoid cancerRef: Bailey and Love 26th edition Page 733* Most common benign tumor - Pleomorphic adenoma* Most common malignant tumor- Mucoepidermoid cancer.